A useful index to measure the lethality of an acute infectious diseases is-
1. Attack rate
2. Incidence rate
3. Case fatality rate
4. None of these

Correct answer: 3. Case fatality rate

Explanation: Ans. is 'c' i.e., Case fatality rate